The distribution of keratins (K) in the basal layers is:
1. K5/K14
2. K1/K10
3. K2/K11
4. K6/K16

Correct answer: 1. K5/K14

Explanation: Basal layer has keratin types K5/K14 Keratin Heterodimer Sites K 5/14 Stratum basale - If defective- Epidermolysis Bullosa simplex K 1/10 Stratum Spinosum K 2/11 Stratum Granulosum K 3/12 Cornea - If defective - Corneal dystrophy K 4/13 Buccal mucosa K 6/16 Nails K 8/18 Liver - If defective - Liver cirrhosis